Which of the following is true regarding ataxia telangiectasia?
1. It is X linked recessive disease
2. It is autosomal recessive disorder
3. It is associated with increased levels of IgM
4. None of the above

Correct answer: 2. It is autosomal recessive disorder

Explanation: Ans. (b) It is autosomal recessive disorder(Ref: Robbins 9th ed p 315)Several rare autosomal recessive cancer syndromes have been described that are characterized by hypersensitivity to certain kinds of DNA-damaging agents, such as ionizing radiation (Bloom syndrome and ataxia-telangiectasia), or DNA cross-linking agents, such as many chemotherapeutic drugs (Fanconi anemia). The phenotype of these diseases is complex and includes, in addition to predisposition to cancer, features such as neural symptoms (ataxia- telangiectasia), bone marrow aplasia (Fanconi anemia), and developmental defects (Bloom syndrome).